Streptokinase and urokinase are contraindicated in-
1. Intracranial malignancy
2. Pulmonary embolism
3. AV fistula
4. Thrombophlebitis

Correct answer: 1. Intracranial malignancy

Explanation: Ref: R Alagappan - Manual of Practical Medicine 4th Edition.pg no:188-189 Agents without fibrin specificity: 1. Streptokinase - 1.5 million units IV infusion over 60 minutes 2. Urokinase Because of the development of antibodies, patients who were previously treated with streptokinase should be given an alternate thrombolytic agent. Contraindications for Thrombolytic Therapy Absolute contraindications: Active bleeding Defective haemostasisRecent major trauma Surgical procedures < 10 days Invasive procedures < 10 days Neurosurgical procedure < 2 months GI/genito-urinary bleeding < 6 months Stroke/TIA < 12 months Prolonged CPR > 10 minutes H/O CNS tumour, aneurysm, AV malformation Active peptic ulcer Aortic dissection Acute pericarditis Active inflammatory bowel disease Active cavitary lung disease Pregnancy Relative contraindications: Systolic BP > 180 mm Hg Diastolic BP >110 mm Hg Bacterial endocarditis Haemorrhagic diabetic retinopathy H/O intraocular bleeding Chronic warfarin therapy Severe renal or liver disease Severe menstrual bleeding